The golden period of eye donation is
1. 6 hours
2. 12 hours
3. 18 hours
4. 24 hours

Correct answer: 1. 6 hours

Explanation: (Refer: AK Khurana Comprehensive Ophthalmology, 6th edition, pg no. 136)"Donor corneas are harvested from cadaveric donors within 6 hours after death, sometimes up to 12 hours after death in countries with cold climates".